Allograft rejection is an example of which type of hypersensitivity reaction -
1. Immediate hypersensitivity
2. Delayed hypersensitivity
3. Swartzmans reaction
4. GVHD

Correct answer: 2. Delayed hypersensitivity

Explanation: . Delayed hypersensitivity